Amino acid metabolism is implicated in which disease?
1. Maple syrup urine disease
2. Reye's syndrome
3. Von Gierke's disease
4. McArdle's diseases

Correct answer: 1. Maple syrup urine disease

Explanation: OPTION 1: Maple syrup urine disease - It is inborn error of metabolism of branched chain amino acids Von Gierke's disease and McArdle's diseases are glycogen storage diseases. Reye's syndrome is an acute self - limiting metabolic insult resulting in generalized mitochondrial dysfunction due to inhibition of fatty acid oxidation.